Pathogenesis of diphtheria is attributed to
1. Invasion
2. Endotoxin
3. Exotoxin
4. Capsule

Correct answer: 3. Exotoxin